Single second heart sound is seen in -
1. TOF
2. hypertension
3. Pulmonary oedema
4. MI

Correct answer: 1. TOF

Explanation: The four components of the tetralogy of Fallot are malaligned VSD,obstruction to RV outflow, aortic override of the VSD, and RVhypertrophy due to the RV's response to aortic pressure thelarge VSD. Harrison's principle of internal medicine,20edition,pg no.1554